Slow waves in EEG activity seen in -
1. Depression
2. Delirium
3. Schizophrenia
4. Mania

Correct answer: 2. Delirium

Explanation: A diagnosis of delirium can be made if the patients EEG finding show a slowing of activity in brain.